Ketoconazole should not be given to a patient being treated with astemizole because :
1. Ketoconazole induces the metabolism of astemizole
2. Dangerous ventricular arrhythmias can occur
3. Astemizole inhibits the metabolism of ketoconazole
4. Astemizole antagonizes the antifungal action of ketoconazole

Correct answer: 2. Dangerous ventricular arrhythmias can occur

Explanation: Ketoconazole, erythromycin and clarithromycin are potent inhibitors of microsomal enzymes. Astemizole, terfenadine and cisapride are the drugs that can block cardiac K+ channels at high concentration. If administered along with microsomal enzyme inhibitors, these drugs can result in torsades de pointes, a serious polymorphic ventricular tachycardia.